All are true for sublingual route except -
1. Escape first pass metabolism
2. All drugs can be given
3. Action can be terminated any time
4. Rapid absorption

Correct answer: 2. All drugs can be given

Explanation: Ans. is 'b' i.e., All drugs can be given Sublingual route of administrationo The tablet or pellet containing the drug is placed under the tongue or crushed in the mouth and spread over the buccal mucosa.o Only the lipid soluble and non-irritating drugs can be administered by this routeo Absoption is rapid and action can be produced in minuteso Action can be easily terminated by spitting the drug after the desired effect is achieved,o Liver is bypassed with this route, thus the drugs with high first pass metabolism can be easily given by this route.o Drugs given by this route are: GTN, buprenorphine, desamino-oxytocin.